Consider the following in a new born : Heart rate of 110 Slow and irregular respiratory effort Flaccid muscle tone No reflex irritability Blue colour What is the Apgar score in this case ?
1. 1
2. 3
3. 5
4. 7

Correct answer: 2. 3

Explanation: Ans.i s b i.e. 3 Signs 0 1 2 Respiratory effort Absent Slow, irregular Good, crying Heart rate Absent Slow (< 100) > 100 Muscle tone Flaccid Flexion of extremities Active body movement Reflex irritability No response Grimace Cry Colour Blue, pale Body pink, extremities blue Complete pink Total score = 10 No depression = 7-10 Mild depression = 4 - 6 Severe depression = 0 - 3 In this case : Heart rate = 110 means score of 2 Respiratory effort = slow and irregular means a score of 1 Muscle flaccid score 0 Blue color score 0 Reflex irratibility none = 0 Total score in this case = 3